Substrate controlled hormone is:
1. Glucagon
2. FSH
3. LH
4. TRH

Correct answer: 1. Glucagon

Explanation: Blood glucose and amino acids are the substrates for glucagon. The levels of these substrates control the glucagon secretion. Glucagon secretion is stimulated by: Hypoglycemia, increase amino acids, stress, exercise, sympathetic stimulation Glucagon secretion is inhibited by: Insulin, increase blood glucose, somatostatin. Hypoglycemia is the most important stimulus. Protein rich meal and serum amino acids stimulate glucagon and insulin secretion. Arginine stimulates both glucagon and insulin secretion; alanine stimulates only glucagon secretion directly.